All of the following are TRUE about hepatocellular carcinoma, EXCEPT:
1. It has a high incidence in East Africa and South east Asia
2. Its worldwide incidence parallels the prevalence of hepatitis B
3. Over 80% of tumors are surgically resected
4. Liver transplantation offers the only chance of cure in those with unresectable disease

Correct answer: 3. Over 80% of tumors are surgically resected

Explanation: "Because of multicentricity, bilobar involvement, portal vein invasion, and lymphatic metastasis only 15-20% of hepatocellular carcinoma are resectable" Option 1 "The highest incidence of disease ( > 10-20 per 100,000) is found in Southeast Asia And tropical africa, and the lowest incidence incidence ( 1-3/ 100,000) is found in Australia, North america, and Europe" Option 2 "The geographical distribution of HCC is clearly related to the incidence of hepatitis B virus infection. Option 4 Treatment options for unresectable disease are limited. The liver cannot tolerate high doses of radiation and the disease is not responsive to chemotherapy. Investigative immunotherapy and gene ablation technique have not yet been successful. Liver transplantation offers the only chance of cure for unresectable disease. Ref: Sabiston 18/e, Page 1500; CSDT 13/e, Page 520,1206; Harrison 17/e, Page 580